Calcitonin is a marker of which of the following?
1. Pancreatic cancer
2. Lobular carcinoma of breast
3. Melanoma
4. Carcinoma of thyroid

Correct answer: 4. Carcinoma of thyroid

Explanation: Calcitonin level is elevated in medullary carcinoma of thyroid.